Which of the following statement(s) is/are about reticulocyte?
1. Smaller than RBC
2. ↑in hemolytic anemia
3. Staining is done by Romanowsky stain
4. Contain nucleus

Correct answer: 2. ↑in hemolytic anemia

Explanation: Reticulocytes 

Reticulocytes are immature red blood cells. Reticulocytes (slightly larger than RBCs) typically compose about 1% of the red cells.
Reticulocytes develop and mature in the bone marrow and then circulate for about a day in the blood before developing into mature red blood cells.
Like red blood cells, reticulocytes do not have a nucleus.
Reticulocytes are so named because of a reticular (mesh-like) network of ribosomal RNA that becomes visible under a microscope with supravital stains such as methylene blue and Brillient cresyl blue.
Reticulocytes appear slightly bluer than other red cells when looked at with the normal Romanowsky stain.
When there is an increased production of red blood cells to overcome chronic or severe loss of mature RBCs, such as in hemolytic anemia, people often have markedly high number and percentage of reticulocests (reticulocytosis).
Decreased numbers of reticulocytes is seen in chemotherapy, aplastic anemia, iron deficiency anemia, Vit B folic acid deficiency, pernicious anemia, bone marrow malignancies, anemia of chronic disease.


Note :

Usually supravital stains (methylene blue and Brilliant cresyl blue) are used for reticulocytes.
Romanowsky stain is not used specifically for reticulocytes.